Most common site of Garre’s osteomyelitis is:
1. Mandibular molar
2. Mandibular canine
3. Maxillary molar
4. Maxillary canine

Correct answer: 1. Mandibular molar

Explanation: Clinical features

Occurs in young adults of age 25 years or less.
Most frequently involved area is anterior surface of tibia.
In jaws, occurs in mandible, in molar and bicuspid region.
Radiographic picture—Classical onion skin appearance due to cortical layer duplication.